What is the minimal cut off age for employment of children under the Factory Act?
1. 12 years
2. 14 years
3. 15 years
4. 18 years

Correct answer: 2. 14 years

Explanation: The Factory Act prohibits the employment of children below 14 years and declares 15 to 18 years as belonging to the adolescent group. Adolescents require fitness certificate prior to employment in a job. Ref: Park 21st edition page: 756.